Most common feature of essential hypertension:
1. Visual disturbances
2. Headache
3. Palpitations
4. Dizziness

Correct answer: 2. Headache

Explanation: Ans. B: Headache Many patients with essential hypertension report that they can determine when their blood pressure is elevated. Often, their perception of experiencing high blood pressure is accompanied by vague complaints of headache, fatigue, dizziness, sweating, a pounding heart, or nose-bleeds. - Of all these symptoms, headache is the commonest complaint.lt is localized to the occipital region and occurs in the morning.